Anti-histone antibodies are diagnostic of?
1. Drug induced LE
2. Systemic sclerosis
3. Mixed connective tissue disorder
4. Sicca syndrome

Correct answer: 1. Drug induced LE

Explanation: Ans is 'a' i.e., Drug induced LE * There is an extremely high frequency of antihistone antibodies drug induced LE.Generic antinuclear antibody-Most sensitive for SLEAnti ds DNA & anti smith (Sm)-Most specific for SLEAnti histone-Drug induced lupusAnti-Ro & Anti-La-Neonatal lupus with congenital heart block and sjogren syndromeAnti DNA Topoisomerase (Anti Scl-70)-Diffuse systemic sclerosis (Diffuse scleroderma)Anti - centromere-Localized systemic sclerosis (Localized scleroderma - CREST syndrome)Anti Jo-1 (Histidyl-t-RNA synthase)-Inflammatory myopathiesAnti U1 RNP-Mixed connective tissue disease